Hysterosalpingogram is performed on which day of a normal 28-day menstrual cycle for a woman having menstrual periods for 5 days?
1. Day 4
2. Day 8
3. Day 14
4. Day 21

Correct answer: 2. Day 8

Explanation: Primary diagnostic steps in the workup of the infertile couple include Documentation of ovulation by USG or mid-luteal phase serum progesterone Semen analysis Hysterosalpingogram. HSG is performed in the mid-follicular phase (day 8 or 9), in order to evaluate the fallopian tubes and the contour of the uterine cavity. It should not be done while the patient is menstruating or after ovulation has occurred and in the premenstrual phase as the patient might be pregnant.